False about erythema nodosum?
1. Considered a hypersensitivity reaction
2. Is a lobular panniculitis
3. Overlying skin is red, smooth and shiny
4. Can be seen in TB

Correct answer: 2. Is a lobular panniculitis

Explanation: Erythema nodosum (EN) is a cutaneous reactive septal panniculitis with no vasculitis. Causes: Drugs like OCPs, sulphonamides and Penicillin. Infections - Gp A b haemolytic Streptococcus infection, Brucella, Toxoplasmosis, CMV, E.coli etc. Tuberculosis Sarcoidosis Crohn's disease> Ulcerative colitis SLE, RA, Reiter's Syndrome Sweet Syndrome Pregnancy Malignancy Disease Description Group Affected/Epidemiologic Factors Clinical Syndrome Erythema nodosum (septal panniculitis) - Large, violaceous, nonulcerative, subcutaneous nodules; - exquisitely tender; - usually on lower legs but also on upper extremities. - self limiting following drug withdrawal and usually resolves within 2-4 weeks More common in females 15-30 years old Arthralgias (50%); features vary with associated condition